Quantitative test for same group of individuals before and after study is:
1. Paired t-test
2. Unpaired t-test
3. Z-test
4. Chi-square test

Correct answer: 1. Paired t-test

Explanation: Ans. a. Paired t-testTestUsePaired t-testComparing means in paired data (In same group of individuals before and after an intervention)Unpaired t-testComparing means in two different group of individualsZ-testIt is a variant of t-test which used when sample size is >30Cho-Square testComparing percentage, proportions and fractions in two or more different group of individuals